A protaper F2 series Gutta Percha when cut 1 mm in apical position of canal. The preparation as per in apical region is?
1. 0.29 mm
2. 0.30 mm
3. 0.31 mm
4. 0.33 mm

Correct answer: 4. 0.33 mm